True about Wilson's disease is ?
1. Increased serum ceruloplasmin
2. Decreased liver copper
3. Increased urinary copper excretion
4. Decreased urine copper excretion

Correct answer: 3. Increased urinary copper excretion